Which of the following is not a complete sterilization
1. Glutaraldehyde
2. Absolute alcohol
3. Hydrogen peroxide
4. Sodium hypochlorite

Correct answer: 2. Absolute alcohol

Explanation: Pure alcohol has no power of disinfection but when diluted with water to 60-90 percent cent vol, it is a potent bactericidal, fungicidal, virucidal and tuberculocidal agent but does not destroy bacterial spores Ref: 25th edition, Park's Textbook of Preventive and Social Medicine, Page no. 141